Persistent preoccupation with serious illness and normal body function is called -
1. Obsession
2. Somatization
3. Hypochondriasis
4. Conversion disorder

Correct answer: 3. Hypochondriasis